The protection against small pox by previous infection with cowpox represents -
1. Antigenic cross-reactivity
2. Antigenic specificity
3. Passive immunity
4. Innate immunity

Correct answer: 1. Antigenic cross-reactivity